Positive Tinel sign is suggestive
1. Nerve regeneration
2. Wallerian Degeneration
3. Muscle Weakness
4. Loss of reflex

Correct answer: 1. Nerve regeneration